After an operation on femur bone, chest x-ray shows widespread mottling throughout the lung field like a snowstorm, the likely cause
1. Air embolism
2. Bacterial pneumonitis
3. Fat embolism
4. Pulmonary embolism

Correct answer: 3. Fat embolism